"Critical path" in network analysis is
1. Most expensive path in a network
2. Congested path in a network
3. Shortest path in a network
4. Longest path in a network

Correct answer: 4. Longest path in a network

Explanation: Critical path method: the longest path of the network is called critical path. If any activity along the path is delayed, the entire project will be delayed.Park 23e pg: 872